A lady with 50% TBSA burn with involvement of dermis & subcutaneous tissue came to emergency department. Burns will be classified as;
1. 1st degree
2. 2nd degree superficial
3. 2nd degree deep
4. 3rd degree burn

Correct answer: 4. 3rd degree burn

Explanation: Third degree burns - Aka full thickness burn - Involvement of Epidermis + dermis + Subcutaneous fat - Burn Surface has Black coloured leathery eschar - Escharotomy is done to prevent compartment syndrome - Characteristic features No pain, No blister, No pin prick sensation Healing occurs with contracture - To prevent contracture - Excision of burned skin with skin grafting